True about lumbricals is
1. Flex IP joints and extends MCP joint
2. 1st and 2nd supplied by radial nerve
3. 3 and 4 supplied by superficial branch of ulnar
4. Origin from tendons of flexor digitorum profundus

Correct answer: 4. Origin from tendons of flexor digitorum profundus

Explanation: Origin from tendons of flexor digitorum profundus* The four lumbrical muscles arise from the tendons of flexor digitorum profundus. They have different origins: Each passes distally to the radial side of its nearest metacarpophalangeal joint of the fingers to be inserted into the dorsal extensor expansionof digits two to five. Their actions on these digits are to: * Extend the interphalangeal joints * Flex the metacarpophalangeal joints * The radial first and second lumbricals are supplied by the median nerve (C8, T1) * The ulnar third and fourth lumbricals are supplied by the deep branch of the ulnar nerve (C8, T1) Ref: Gray's anatomy text book of anatomy BD chaurasia 21st Ed.